Commonest fungal infection of the female genitalia in diabets –
1. Cryptococcal
2. Madura mycosis
3. Candidial
4. Aspergellosis

Correct answer: 3. Candidial

Explanation: In a diabetic patient, commonest fimgal infection of genitalia in both female (vulvoginitis) as well as in male (Balanitis) is candida albicans.